False about 1st order kinetics
1. Constant proportion of drug is eliminated per unit time
2. As dose increases clearance increases
3. As dose increases t1/2 remains same
4. Rate of elimination is directly proportional to plasma concentration

Correct answer: 2. As dose increases clearance increases